Alkaline phosphatase levels are elevated in all of the following except -
1. Brain tumors
2. Obstructive jaundice
3. Bone tumors
4. Placental tumors

Correct answer: 1. Brain tumors